A 6 year old boy presents with painful limp. On clinical examination, tenderness in femoral triangle and some limitation of Hip movements. X-ray is normal, Next investigation
1. MRI
2. CT scan
3. Arthroscopy
4. Bone scan

Correct answer: 1. MRI